Northern blotting is used for the separation of:
1. DNA
2. RNA
3. Proteins
4. None of the above

Correct answer: 2. RNA

Explanation: Northern blotting is used to separate RNA. Northern blotting allows researchers to determine the level of production (and, therefore, control of expression) of a particular mRNA by quantitative determination of the relative amount of that particular mRNA relative to total mRNA. Southern blotting is used to identify and isolate a specific DNA sequence and can also quantitatively determine the number of times a specific sequence occurs in a particular cell type. Western blotting is used to separate proteins. Ref: The Big Picture: Medical Biochemistry Lee W. Janson, Appendix II